Extent of larynx is -
1. Cl -C4
2. C3 - C6
3. C5-C7
4. T1-T3

Correct answer: 2. C3 - C6

Explanation: Ans. is 'b' i.e., C3-C6o The larynx is situated in front of hypopharynx opposite to third to sixth cervical vertebrae and ends at the lower border of C6 vertebrae in adults.o The skeletal supports of larynx is provided by Six cartilages, 3 out of which are paired (so there are total 9 cartilages).Unpaired: - Thyroid, cricoid , epiglottis.Paired: - Arytenoid, ComicuJate, cuneiformo Larynx is larger in males than females.